Drug of choice in drug induced parkinsonism is
1. Levodopa
2. Benzhexol
3. Selegilline
4. Amantadine

Correct answer: 2. Benzhexol

Explanation: (Benzhexol) (421-KDT 6th)* Trihexyphenidyl (Benzhexol) is most commonly used drug in drug induced Parkinsonism* "Anticholinergics are the only drugs effective in drug (phenothiazine) induced parkinsonism "Drug used in Alzheimer's disease Acetylcholinesterase inhibitors - donepezil, galentamine, rivastigmine, tacrine NMDA receptor antagonists - Memantine